What is the abnormality shown in the hairs of a child with severe malnutrition?
1. Light dark sign
2. Flag sign
3. Hair sign
4. Colour sign

Correct answer: 2. Flag sign

Explanation: Alternate bands of pigmented & hypopigmented hairs seen in a child with malnutrition - 'Flag sign'.